Most common type of emphysema is-
1. Centriacinar
2. Obstructed
3. Distalacinar
4. Panacinar

Correct answer: 1. Centriacinar

Explanation: Ans. is A Centriacinar Types of emphysema 1) Centriacinar (centrilobular) emphysema o Centriacinar emphysema is the most common type of emphysema seen clinically. It is chracterized by involvement of respiratory bronchioles, i.e. central (proximal) part of the acinus. Occurs predominantly in heavy smokers and usually coexists with chronic bronchitis. 2) Panacinar (Panlobular) emphysema o The acini are uniformly enlarged from the level of the respiratory bronchiole to the terminal blind alveoli. This type of emphysema is associated with al-antitrypsin deficiency. 3) Distal acinar (Paraseptal) emphysema o This type of emphysema involves distal part of the acinus, while proximal part is normal.This type of emphysema is a common cause of spontaneous pneumothorax in young adults 4) Irregular emphysema (Para-cicatricial emphysema) o The acinus is involved irregularly and is almost invariably associated with scarring. It is the most common type of emphysema histologically Remember o Most common type of emphysema is irregular emphysema, but it is not clinically significant as most patients are asymptomatic and it is only an autopsy finding. Most common type of emphysema seen clinically is centracinar emphysema.